The treatment of choice in annular pancreas is which of the following?
1. Whipple's operation
2. Duodeno-jejunostomy
3. Gastro-jejunostomy
4. Jejuno-cystostomy

Correct answer: 2. Duodeno-jejunostomy

Explanation: Duodeno-Duodenostomy is also done in treatment of annular pancreas.